Most common ovarian tumour to undergo torsion is :
1. Pseudomucinous cystadenoma
2. Brenner's tumour
3. Adenomyoma
4. Dermoid cyst

Correct answer: 4. Dermoid cyst

Explanation: Dermoid cyst